Definite indication of intra -operative cholangiogram is?
1. Preoperative USG showing non dilated CBD
2. Unclear biliary anatomy of the patient
3. Acute cholecystitis
4. Cholelithiasis

Correct answer: 2. Unclear biliary anatomy of the patient

Explanation: Intra/Preoperative cholangiography defines the biliary anatomy & is mainly used to exclude the presence of stones within the bileduct.In this technique,a catheter can be placed in cystic duct and contrast injected directly into the biliary tree Reference:Bailey & Love's manual of surgery,25th edition,page no:1116